In case of Maxillary canine replacement FPD, forces are directed_________on Canine
1. Outwards
2. Inwards
3. Upwards
4. Laterally

Correct answer: 1. Outwards

Explanation: Fixed partial dentures replacing canines can be difficult, because the canine often lies outside the interabutment axis. The prospective abutments are the lateral incisor, usually the weakest tooth in the entire arch, and the first premolar, the weakest posterior tooth.
A fixed partial denture replacing a maxillary canine is subjected to more stresses, than that replacing a mandibular canine, since forces are transmitted outward (labially) on the maxillary arch, against the inside of the curve (its weakest point) .
On the mandibular canine, the forces are directed inward (lingually), against the outside of the curve (its strongest point) . Any fixed partial denture replacing a canine should be considered a complex fixed partial denture.
No fixed partial denture replacing a canine should replace more than one additional tooth. An edentulous space created by the loss of a canine and any two contiguous teeth is best restored with a removable partial denture.